lactose in per 100 grams of breast milk -
1. 3.4
2. 4.4
3. 5.1
4. 7.5

Correct answer: 4. 7.5

Explanation: Ans. is 'd' i.e., 7.5 Nutritive value of milks compared (value per 100 grams) BuffaloCowGoatHumanFat(g)6[?]54[?]14[?]53[?]4Protein(g)4-33[?]23[?]31[?]1Lactose(g)51444[?]67[?]4Calcium(mg)21012017028Iron(mg)0[?]20[?]20[?]3 Vitamin C(mg)1213Minerals(g)0[?]80[?]80[?]80[?]1Water(g)81[?]08786[?]888Energy(kcal)117677265